Which of the following drug is not used in glaucoma:
1. Pilicarpine.
2. Physostigmine.
3. Metoprolol.
4. Timolol.

Correct answer: 3. Metoprolol.

Explanation: Metoprolol is a beta blocker with local anaesthetic activity which cannot be used in glaucoma.